Refrigerated blood stored up to 48 hours before transfusion can destroy which of the following -
1. HIV
2. Hepatitis B
3. Treponema pallidum
4. P. Vivax

Correct answer: 3. Treponema pallidum